Omalizumab is used in treatment of:
1. Breast carcinoma
2. Asthma
3. Rheumatoid arthritis
4. None of the above

Correct answer: 2. Asthma

Explanation: Omalizumab is a blocking antibody that neutralizes circulating IgE without binding to cell-bound IgE; it thus inhibits IgE-mediated reactions. This treatment has been shown to reduce the number of exacerbations in patients with severe asthma and may improve asthma control. However, the treatment is very expensive and only suitable for highly selected patients who are not controlled on maximal doses of inhaler therapy and have a circulating IgE within a specified range. Ref: Harrison's principle of internal medicine 17th edition, chapter 248.